Lens nuclear degeneration is yellow color because of-
1. Lipofuscin
2. Urochrome
3. Lipochrome
4. Bilirubin

Correct answer: 2. Urochrome

Explanation: Ans. is lb' i.e., Urochrome "Nuclear sclerosis also distorts color vision because of -yellow -brown urochrome pigment, which accumulates in the lens and filters out blue wavelengths of light".-- Eye pathologyo Older nuclear cells lose organelles and cell membranes, with increasing density and dehydration and accumulation of yellow urochrome pigment (possible photo-oxidation product),o Pathology shows homogeneity of nucleus , with loss of cellular lamination and increased eosinophilia.o When advanced, it becomes brown (brunescent) or black (cataracta nigra).